Ramu, age 10 yr present with itching in his eye, foreign body sensation, & ropy discharge since several months. These symptoms are more prominent in summer. Most probable diagnosis is
1. Vernal conjunctivitis
2. Fungal keratoconjunctivitis
3. Viral conjunctivitis
4. Trachoma

Correct answer: 1. Vernal conjunctivitis

Explanation: A i.e. Vernal conjunctivitis